The following statement is true for Pityriasis rosea
1. Life threatening infection
2. Self limiting
3. Caused by dermatophytes
4. Chronic relapsing

Correct answer: 2. Self limiting

Explanation: Pityriasis rosea (PR) is a self-limiting, generally benign disorder for which the prognosis is excellent and the recurrence rate is low (approximately 2%). Because it is not considered a transmissible disease, patients do not require isolation and may return to work or school Pityriasis rosea is a type of skin rash.Classically, it begins with a single red and slightly scaly area known as a "herald patch". This is then followed, days to weeks later, by a pink whole body rash.It typically lasts less than three months and goes away without treatment.Sometime a fever may occur before the start of the rash or itchiness may be present, but often there are few other symptoms. Ref Harrison20th edition pg 2314